Which of the following is NOT a feature of pre renal azotemia?
1. BUN/PCr ratio >20:1
2. Urine sodium (UNa), meq/L <20
3. Urine osmolality, mosmol/L H2O >500
4. Urine/plasma creatinine (UCr/PCr) <20

Correct answer: 4. Urine/plasma creatinine (UCr/PCr) <20

Explanation: Urine/plasma creatinine (UCr/PCr) will be > 40 in pre renal azotemia. Difference between pre renal and and acute tubular necrosis: Pre renal failure FENa is less than 1% Urine Na is less than 20mmol/l Urine osmolality is more than 500mosm/kg Fractional excretion of BUN is less than 35% BUN/Creatinine ratio is more than 20:1 Acute tubular necrosis FENa is more than 2% Urine sodium is more than 30 mmol/l Urine osmolarity is less than 350mosm/kg BUN/Creatinine ratio is less than 10:1 Ref: Harrisons principles of internal medicine, 18th edition, Page 337